Which law is applicable for surfactant action?
1. Laplace law
2. Charlie's law
3. Thames law
4. Charles law

Correct answer: 1. Laplace law

Explanation: The low surface tension when the alveoli are small is due to the presence in the fluid lining the alveoli of surfactant, a lipid surface-tension-lowering agent. Surfactant is a mixture of di- palmitoylphosphatidylcholine (DPPC), other lipids, and pro- teins (If the surface tension is not kept low when the alveoli become smaller during expiration, they collapse in accordance with the law of Laplace. In spherical structures like the alveoli, the distending pressure equals two times the ten- sion divided by the radius (P = 2T/r); if T is not reduced as r is reduced, the tension overcomes the distending pressure. Sur- factant also helps to prevent pulmonary edema. It has been calculated that if it were not present, the unopposed surface tension in the alveoli would produce a 20 mm Hg force or- ing transudation of fluid from the blood into the alveoli.Ref: Ganong review of medical physiology 23rd edition Page no: 597